Pineal gland forms
1. Floor of third ventricle
2. Anterior wall of third ventricle
3. Posterior wall of third ventricle
4. Roof of third ventricle

Correct answer: 3. Posterior wall of third ventricle

Explanation: Anterior wall :Anterior column of fornixAnterior commissureLamina terminalisPosterior wall:Pineal glandPosterior commissureCommencement of cerebral aqueduct.Roof: ependymaFloor:Optic chiasmaTuber cinereumMamillary bodiesPosterior perforated substanceTegmentum of midbrainLateral wall:ThalamusHypothalamusRef: Vishram Singh textbook of clinical neuroanatomy second edition pg 137